Ape thumb deformity is seen in involvement of :
1. Median nerve
2. Ulnar nerve
3. Radial nerve
4. Axillary nerve

Correct answer: 1. Median nerve

Explanation: A i.e. Median Nerve